Appetite is stimulated by all of the following, EXCEPT:
1. Agouti related peptide
2. Melanocyte concentrating hormone
3. Melanocyte stimulating hormone
4. Neuropeptide Y

Correct answer: 3. Melanocyte stimulating hormone

Explanation: Appetite is influenced by many factors that are integrated by the brain, most importantly within the hypothalamus. Signals that impinge on the hypothalamic center include neural afferents, hormones, and metabolites. Vagal inputs are particularly important, bringing information from viscera, such as gut distention. Hormonal signals include leptin, insulin, cortisol, and gut peptides. Appetite is increased by: NPY, neuropeptide Y Melanin-concentrating hormone (MCH) Agouti-related peptide (AgRP) Orexin Endocannabinoid Appetite is decreased by: MSH, melanocyte-stimulating hormone CART, cocaine- and amphetamine-related transcript GLP-1,glucagon-related peptide-1 CCK, cholecystokinin